Orchidopexy best time -
1. Before the age of 12 month
2. After the age of 24 month
3. At the age of 3 year
4. At 5 year

Correct answer: 1. Before the age of 12 month

Explanation: Ans. is 'a' i.e., Before the age of 12 month "Definitive treatment of the undescended testis should occur before 1 year of age __ Cambell Urologyo Sabiston also supports the above statement (Note Bailey writes completely different timing for orchipexy, so don't follow it).